A patient with sore throat has a positive Paul Bunnell test. The causative organism is:
1. EBV
2. Herpes virus
3. Adenovirus
4. Cytomegalovirus

Correct answer: 1. EBV